A patient is in shock with gross comminuted fracture.
Immediate treatment is to give
1. Normal saline intravenously
2. Ringer's Lactate solution intravenously
3. Blood transfusion
4. Plasma expanders

Correct answer: 2. Ringer's Lactate solution intravenously